A 12 year old girl was brought with fever, malaise, and migrating polyarthritis. She had a history of recurrent throat infections in the past. Elevated erythrocyte sedimentation rate is noted. Which among the following is NOT a major Jones criteria for diagnosis of acute rheumatic fever?
1. Pancarditis
2. Chorea
3. Arthritis
4. Raised ESR

Correct answer: 4. Raised ESR

Explanation: Revised Jones Criteria for Diagnosis of Rheumatic Fever: Major criteria: Pericarditis, myocarditis, or endocarditis Chorea Subcutaneous nodules Erythema marginatum Polyarthritis Minor criteria: Fever Arthralgias Laboratory findings: elevated sedimentation rate, evidence of preceding streptococcal infection (increased titer of antistreptolysn O), increased C-reactive protein History of rheumatic fever or rheumatic heart disease; increased PR interval on ECG The presence of two major or one major and two minor criteria with supporting evidence of recent infection with group A streptococcus indicates a high probability of rheumatic fever. Ref: Woods R.P., Seamon J. (2011). Chapter 21. Arthritis & Back Pain. In R.L. Humphries, C. Stone (Eds), CURRENT Diagnosis & Treatment Emergency Medicine, 7e.